Commonest site from where pseudomyxoma peritonei arise
1. Ovary
2. Appendix
3. Pancreas
4. Stomach

Correct answer: 2. Appendix

Explanation: Psueudomyxoma peritonei is a condition which occurs more frequently in women. The abdomen is filled with a yellow jelly, large quantities of which are often encysted. The condition is associated with mucinous cystic tumours of the ovary and appendix. Recent studies suggest that most cases arise from a primary appendiceal tumour with secondary implantation on to one or both ovaries. Reference:Bailey & Love's short practise of surgery,25th edition,page no:1003